Ethmoid articulates with which of the following
1. Middle tubirnate
2. Inferior tubirnate
3. Superiourbinate
4. All of the above

Correct answer: 2. Inferior tubirnate

Explanation: The ethmoid articulates with thirteen bones: two bones of the neurocranium--the frontal, and the sphenoid (at the sphenoidal body and at the sphenoidal conchae). eleven bones of the viscerocranium--, two nasal bones, two maxillae, two lacrimals, two palatines, two inferior nasal conchae, and the vomer. Middle turbinate and superior turbinate are a part of the ethmoidal bone whereas inferior turbinate articulates with the ethmoid bone, completing the medial wall of nasolacrimal duct. Ref - Sciencedirect.com